Highest concentration in extracellular compartment is of which ion-
1. Na+
2. K+
3. Cl-
4. Ca2+

Correct answer: 1. Na+

Explanation: Ans. is 'a' i.e., Na+ ComponentExtracellular fluid (ECF) (meq/1)Intracellular fluid (ICF) (meq/l)Na+K+C1-HCO3-Mg+2Ca+2PO4-21425.5103281[?]22[?]5414150410580 0001 75Protein (organic anion)5 (2g%)40 (16g %)